Aspirin irreversibly inhibits the following enzyme in the formation of eicosanoids:
1. Lipoxygenase
2. Cyclooxygenase
3. Phospholipase-A2
4. Peroxidase

Correct answer: 2. Cyclooxygenase

Explanation: Ans. B. CyclooxygenaseCyclooxygenase is required for the synthesis of prostaglandins by arachidonic acid. Aspirin, indomethacin, brufen, phenyl butazone and other NSAIDS inhibits COX (Cyclooxygenase). Aspirin inhibits COX of both PGHS-1 and PGHS-2 by acetylation